Mesh is sutured to the edge of the defect, this is called
1. Onlay mesh
2. Inlay mesh
3. Underlay mesh
4. Sublay mesh

Correct answer: 2. Inlay mesh

Explanation: A well-placed mesh should have good overlap around all margins of the defect, at least 2 cm but up to 5 cm if possible. Suturing a mesh edge to edge into the defect is inlay mesh, this is not recommended.The mesh can be placed:Just outside the muscle in the subcutaneous space (onlay); Within the defect (inlay) - only applies to mesh plugs in small defects;Between fascial layers in the abdominal wall (intraparietal or sublay);Immediately extraperitoneally, against muscle or fascia (also sublay);Intraperitoneally.Ref: Bailey and love 27e pg: 1027